The following agent decrease gastric motility except-
1. Naloxone
2. Morphine
3. Codeine
4. Pethidine

Correct answer: 1. Naloxone

Explanation: Ans. is 'a' i.e., Naloxone o Opioids decrease GI motility.o Naloxone is opioid antagonist (at all receptors), thus it will counteract the GI effect of opioids.Naloxoneo It antagonizes all action of morphine (sedation is less completely reversed),o It is the drug of choice for acute morphine poisoning.o It is also used for reversing neonatal asphyxia due to opioid use during labour, alcohol intoxication and to elevate BP in endotoxic or hypovolaemic shock.o It precipitates withdrawl in dependent subjects ->> can be used for diagnosis of opioid dependence,o It partly antagonizes respiratory depression produced by certain nonopioid also, e.g. N2O, diazepam.o It is ineffective orally because of high first pass metabolism - used parenterally.o It is very short acting (t1/2 1 hour in adults and 3 hours in newborns).